Atavism is resemblance of child to his:
1. Father
2. Mother
3. Grandfather
4. Brother

Correct answer: 3. Grandfather

Explanation: Ans. C i.e. Grandfather Atavism is the tendency to revert to ancestral type. An atavism is an evolutionary throwback, such as traits reappearing which had disappeared generations before.